Which of the following are the qualities of a green light food as per traffic light diet plan for children?
1. Nutrition dense, but higher In calories and fat
2. Low calories, high fibre, low fat. Nutrition-dense
3. High in calories. sugar and fat
4. None of the above

Correct answer: 2. Low calories, high fibre, low fat. Nutrition-dense

Explanation: The "traffic light" diet groups food as: Category Characteristics Recommended Intake Examples Red High in calories, sugar, and fat Reserved for infrequent treats Fatty meats, sugar, sweet beverages, fried foods Yellow Nutrient-dense, but higher in calories & fat In moderation Lean meats, dairy, starches, grains Green Low-calorie, high-fiber, low-fat, nutrient-dense Without any limitations Fruits, vegetables